CD-95 has a major role in -
1. Apoptosis
2. Cell necrosis
3. Interferon activation
4. Proteolysis

Correct answer: 1. Apoptosis

Explanation: Ans. is 'a' i.e., Apoptosis Function of Human Leucocyte surface antigen CD-95 is to mediate apoptosis.